Which of the following is more common in children?
1. Gingivitis
2. Periodontitis
3. ANUG
4. Pericoronitis

Correct answer: 1. Gingivitis

Explanation: Recent recognition that periodontal disease may have its origins in childhood has led dentists to be more aggressive in treatment. Studies confirm a high prevalence of gingival inflammation in children.
Reference: McDONALD AND AVERY’S DENTISTRY for the CHILD and ADOLESCENT, 10th ed page no 243